What is the most common cause of increased red cell protoporphyrin level ?
1. Iron deficiency
2. Thiamine deficiency
3. Reactive lymphocytosis
4. Drug toxicity

Correct answer: 1. Iron deficiency

Explanation: The most common causes of increased red cell protoporphyrin levels are absolute or relative iron deficiency and lead poisoning. Reference: Harrisons Principles of Internal Medicine, 18th Edition, Page 847